Stationary anchorage refers to the anchor teeth which are
1. Are banded
2. Cannot move
3. Are not free to tilt
4. Are supported by extra oral forces

Correct answer: 3. Are not free to tilt